Which of the following will not cause a low lung diffusing capacity(DL)?
1. Decreased diffusion distance
2. Decreased capillary blood volume
3. Decreased surface area
4. Decreased cardiac output

Correct answer: 1. Decreased diffusion distance

Explanation: A decrease in the diffusion distance will lead to an increase in DL. A decrease in capillary blood volume, surface area, cardiac output, and blood hemoglobin concentration will decrease DL.